Chicken pox is infective
1. 2 days before and 5 days after rash appearance
2. 2 days before and 2 days after rash appearance
3. 4 days before and 4 days after rash appearance
4. 4 days before and 5 days after rash appearance

Correct answer: 1. 2 days before and 5 days after rash appearance